Nerve involved in Guyon's canal syndrome is
1. Axillary nerve
2. Median nerve
3. Ulnar nerve
4. Radial nerve

Correct answer: 3. Ulnar nerve

Explanation: Guyon's canal is formed by the pisiform and hamate and the ligament that connects them. The ulnar nerve and ulnar artery run through the tunnelGuyon's canal syndrome is also known as handlebar palsy (seen in cyclists)